BCG is the only widely used live bacterial vaccine. Which of the following statements is TRUE about BCG vaccination?
1. Distilled water is used as diluent for BCG vaccine
2. The site for injection should be cleaned thoroughly with spirit
3. Mantoux test becomes positive after 48 hours of vaccination
4. WHO recommends Danish 1331 strain for vaccine production

Correct answer: 4. WHO recommends Danish 1331 strain for vaccine production

Explanation: The WHO has recommended the "Danish 1331" strain for the production of BCG vaccine. Normal saline is recommended as a diluent for reconstitution of the vaccine, as distilled water may cause irritation. If alcohol is used to swab the skin, it must be allowed to evaporate before the vaccine is given. Normally the individual becomes Mantoux-positive after a period of 8 weeks has elapsed, but sometimes about 14 weeks are needed. Ref: Park's Textbook of Preventive and Social medicine, 19th edition, Page 160-161.